Reverse folding of proteins is carried out by which enzyme?
1. Valine
2. Threonine
3. Chaperone
4. Aspartate

Correct answer: 3. Chaperone

Explanation: Most proteins in the body maintain their natural configuration or if that is partially lost are renatured by the action of molecular chaperones.Ref: DM Vasudevan, 7th edition, page no: 729